Which of the following is an selective a-2 antagonist?
1. Prazosin
2. Labetalol
3. Yohimbine
4. Butoxamine

Correct answer: 3. Yohimbine

Explanation: Ans. is 'c' i.e., Yohimbine o Selective a2-antagonists are yohimbine and idozoxon.Important a adrenergic blocking drugso Non equilibrium (irreversible) type - Phenoxybenzamineo Equilibrium (reversible) typeA. Non selective - Ergotamine, Ergotoxine, Tolazoline, Phentolamine, Chlorpromazine,B. a1 selective - Prazosin, Terazosin, Doxazosin, Trimazosin, Alfuzosin, Indoramine, Urapidil, Tamsulosine.C. a2 selective - Yohimbine, Idazoxan